Which type of cell is not found in the epithelium of maxillary sinus?
1. Basal cells
2. Nonciliated columnar cell
3. Ciliated cuboidal cell
4. None

Correct answer: 3. Ciliated cuboidal cell

Explanation: → The sinus is lined by pseudociliated stratified columnar epithelium.
→ The epithelium shows four types of cells namely:

Basal cells
Nonciliated columnar cell
Ciliated columnar cell
Goblet cells